Renal stone which is formed due to proteus infection is ?
1. Calcium oxalate
2. Uric acid
3. Cystine
4. Struvite

Correct answer: 4. Struvite

Explanation: Repeat question Triple phosphate or struvite ( Calcium phosphate with ammonium magnesium phosphate ) is smooth and dirty white. It grows in alkaline urine. Proteus being urea splitting organism splits urea to give ammonia and co2 which makes urine alkaline and promotes stag horn calculus ref : - Bailey and Love 27th edition ,chapter 76 , pg no 1406